All are true about Abdominal aneurysm except:
1. Atherosclerosis is the commonest cause
2. Most commonly arises from above the level of renal artery
3. For asymptomatic aneurysms, repair is indicated if the diameter is >5.5 cm
4. Endovascular placement of an aortic stent is use for repair

Correct answer: 2. Most commonly arises from above the level of renal artery

Explanation: Answer- B. Most commonly arises from above the level of renal artery90% of abdominal aortic aneurysm (AAA) of size > 4cm in diameter is due to atherosclerosis.Male are more frequently affected than female.The aneurysm most commonly arises below the level of renal artery.